Lymphatic spread is the most common route in which of the following thyroid carcinoma
1. Papillary
2. Follicular
3. Medullary
4. Anaplastic

Correct answer: 1. Papillary

Explanation: Lymphatic spread is commonest route for spreading of Papillary carcinoma and least for Follicular carcinoma.